Tamm Horsfall protein is produced by -
1. Ureter
2. Collecting duct
3. Loop of Henle
4. Distal tubule

Correct answer: 3. Loop of Henle

Explanation: Various components observed on microscopic examination of the urine in renal disease are red cells, pus cells, epithelial cells, crystals and urinary casts. The casts are moulded into cylindrical shapes by passage along tubules in which they are formed. They are the result of precipitation of proteins in the tubule that includes not only albumin but also the tubular secretion of the Tamm Horsfall protein. The latter is a high molecular weight urinary glycoprotein normally secreted by ascending loop of Henle and DCT and probably has body defence function normally. Its secretion is increased in glomerular and tubular diseases Ref: Textbook of pathology Harsh Mohan 6th edition page 652